Florence test done on dry seminal stain shows dark-brown crystals due to:
1. Sperm
2. Dye
3. Spermine
4. Choline

Correct answer: 4. Choline

Explanation: Ans. D i.e. Choline Florence test of semen depends on choline